Most common malignant tumour in childhood:
1. Rhabdomyosarcoma
2. Leukaemia
3. Lymphangioma
4. Neuroblastoma

Correct answer: 2. Leukaemia

Explanation: (Leukemia) (561-G) (580 -Ghai 7th)* Leukemia is most common form of childhood malignancy* Descending order - Leukemia > Brain tumour > Lymphoma > Neuroblastoma > Wilm's tumour > Soft tissue sarcoma.* Most common cancer in children (1686-Nelson 17th)* Lymphohematopoietic (44%) > Nervous system (29%) > Embryoral (12%0 > Connective tissue (10%)